Breast milk is deficient in w hich vitamin -
1. Vitamin A
2. Vitamin B1
3. Vitamin K
4. VitaminC

Correct answer: 3. Vitamin K

Explanation: Ans. is 'c' i.e., Vitamin K o Exclusive breasfed infants may have folfowine deficiencies -i) Vit Bl2 (if mother is strict vegetarian)ii) Vit Diii) Fluorideiv) Vit K"Breastfed infants are protected as the breastmilk contains adequate amounts of vitamin C, except when the mother is deficient in Vitamin C".-- O. P. Ghai 127